In comparing laparoscopic salpingostomy vs. laparotomy with sal-pingectomy for the treatment of ectopic pregnancy, laparoscopic therapy results in
1. Decreased hospital stays
2. Lower fertility rate
3. Lower repeat ectopic pregnancy rate
4. Comparable persistent ectopic tissue rate

Correct answer: 1. Decreased hospital stays

Explanation: Conservative laparoscopic treatment of ectopic pregnancy is now commonplace, although not yet universal. With increasing sophistication of techniques and fiberoptics, many microsurgical procedures can be done through the laparoscope Recent studies uggest that the fertility rates for laparoscopy and laparo- tomy are comparable, as are the implications of repeat ectopic pregnancies. Certainly laparoscopy, because of its small incision, results in fewer break- downs and shorter hospital stays, but the incidence of complications due to retained ectopic tissue is higher.